A 40 years old male, chronic smoker comes with acute epigastric discomfort, for past one hour. ECG showing ST segment elevation in inferior leads. What is the immediate intervention?
1. Aspirin
2. Thrombolytic therapy
3. IV pantoprazole
4. Beta blockers

Correct answer: 1. Aspirin

Explanation: Answer is A (Aspirin) Aspirin decreases mortality in myocardial infarction and should be administered as early as possible and in patients with Acute coronary syndromes including STEMI-Hurst Althrough reperfusion therapy (Thrombolytic therapy) forms the main goal of management in STEMI, administration of Aspirin should not be delayed while patient is being assessed fir suitability of thrombolysis. Aspirin has been shown to offer nearly as great an advanteage as that of streptokenose alone in certain trials. Aspirin should be administered as soon as a patient presents with any suspected Acute coronary syndrome including STEMI (As soon as possible)